Under Insecticide Treated Bed Nets Programme, insecticide used is -
1. Deltamethrin
2. Malathion
3. Lindone
4. Fenitrothion

Correct answer: 1. Deltamethrin

Explanation: Ans. is 'a' i.e., Deltamethrin Insectiside treated Bed Nets (ITBNI Programmeo ITBN Programme has resulted in significant decline in malaria incidence and API. The decline in anopheles mosquito density is 68% and culex moquito density is 50%.o The most common insectiside used in ITBN Programme is 'Deltamethrin' (a synthetic pyrethroid). Other insectisides used are cyfluthrin, permethrin, lambda cyhalothrin, cypermethrin, and etofenoprox.o The effect lasts for 6-12 months and retreatment is recommended every 6 months. For long lasting effect, chemical binder can be used; allowing the use for more than 3years, i.e. long-lasting insecticidal mosquito nets (LLINs).o The best pattern of mosquito net is the rectangular net. There should not be a single rent in the net. The Size of openings in the net is of utmost importance, the size should not exceed 0.0475 inch in any diameter. The number of holes in one square inch in usually 150.